Peripheral edema in CCF is due to -
1. Increased hydrostatic pressure
2. Increased osmotic pressure
3. Decreased proteins
4. Decreased aldosterone

Correct answer: 1. Increased hydrostatic pressure